Osteoclasts are inhibited by
1. Parathyroid hormone
2. Calcitonin
3. 1,25-dihydroxycholecalciferol
4. Tumor necrosis factor

Correct answer: 2. Calcitonin

Explanation: Osteoclasts are Bone cells that break down and remove bone tissue.Calcitonin- a polypeptide hormone secreted by the parafollicular or C cells of the thyroid gland; it is involved in plasma calcium homeostasis and acts to decrease the rate of bone resorption.Ref: Ganong's review of medical physiology; 24th edition; page no:-387